Hypothyroidism is associated with the following clinical problems, except:
1. Menorrhagia
2. Early abortions
3. Galactorrhoea
4. Thromboembolism

Correct answer: 4. Thromboembolism

Explanation: Untreated hypothyroidism in early pregnancy has a high fetal wastage in the form of abortion, stillbirth and prematurity and deficient intellectual development of the child. However, pregnancy complications like pre-eclampsia and anemia are high.
Dutta Obs. 7/e, p 288
“Galactorrhea is caused by hyperprolactenemia of which an important cause is hypothyroidism.”
Harrison 17/e, p 2205
“Hypothyroidism causes menorrhagia.”
High Risk Pregnancy, SS Trivedi, Manju Puri, p 413